Pertusis toxin acts by all of the followingmechanisms except ?
1. ADP ribosylation of proteins associated with receptors
2. Increase cyclic AMP
3. Increased calcium release from sarcoplasmic reticulum
4. Acts through G alpha subunit

Correct answer: 3. Increased calcium release from sarcoplasmic reticulum

Explanation: Increased calcium release from sarcoplasmic reticulum IRef: Harrison 170i/e p. 933] Pertussis toxin is an exotoxin that has A and B subunits. B subunit binds to the target cells whereas A subunit acts on the target. First, the pertussis toxin itself gets activated by glutathione and ATP. Once the toxin gets activated it activates cell membrane bound G proteins. Pertussis toxin catalyzes the ADP ribosylation of the G proteins and activates them. The activated G protein in turn activates adenylate cyclase, this results in an outpouring of cAMP which activates protein kinase and other intracellular messangers. Pertussis toxin 1 Gets activated by glutathione and ATP Activated pertussis toxin Catalyses ADP ribosylation of G proteins Activated G proteins Activates adenylate cyclase Increased outpouring of cAMP